SDS - PAGE Separater proteins based on:
1. Charge
2. Solubiliy
3. Size
4. Polarity

Correct answer: 3. Size

Explanation: SDS - PAGE imparts equal negative charges, thus nullifying the effect of charge.
It separates proteins purely on the basis of size (molecular weight).